RSV is treated by:
1. Acyclovir
2. Ribavirin
3. Interferon
4. Abacavir

Correct answer: 2. Ribavirin

Explanation: Ans. B i.e. Ribavirin Bronchiolitis MC Caused by Respiratory Synctial Virus/ RSV, MC in boys (less than 2 years), Chest X-ray shows: - Hyperinflation with - Multiple areas of interstitial infiltration May lead to asthma, Self limiting, DOC is ribavirin, Oxygen is helpful, RSV Immunoglobulins has no role in acute attacks, Antibiotics are not used initially